Following is true of pyonephrosis except:
1. Commonly associated with renal calculi
2. Always unilateral
3. Is a complication of hydronephrosis
4. Follows acute pyelonephritis

Correct answer: 2. Always unilateral

Explanation: Ans. (b) Always unilateralRef: Smith 17th Edition, Pages 204-206# In pyonephrosis kidney is a bag of pus.# Most common cause is stones followed by Infected hydronephrosis and acute pyelonephritis# Mostly unilateral but can be bilateral also# Percutaneous nephrostomy is the initial treatment# Subcapsular nephrectomy is needed sometimes.